The drug used in irritable bowel syndrome with constipation is :
1. Lubiprostone
2. Loperamide
3. Alosetron
4. Clonidine

Correct answer: 1. Lubiprostone

Explanation: Lubiprostone acts by stimulating Cl- channel opening in the intestine, increasing liquid secretion in the gut and decreasing transit time, therefore used for chronic constipation. It has also been approved for constipation dominant irritable bowel syndrome in women.